Risk factors associated with post-operative nausea and vomiting following strabismus surgery are all except -
1. Age < 3years
2. Duration of anesthesia > 30 mins
3. Personal or family history of post - op nausea and vomiting
4. Personal or family history of motion sickness

Correct answer: 1. Age < 3years

Explanation: Ans. is 'a' i.e., Age < 3 years Post operative nausea and vomiting (PONY) following strabismus surgery It can cause post - op wound dehiscence, hematoma, orbital hemorrhage and aspiration. 30 % of all procedures are associated with PONV. Major risk factors are: Age > 3years Duration of anesthesia > 30 mins Personal or family history of post - op nausea and vomiting Personal or family history of motion sickness Medical management of PONV includes: dimenhydrinate, metoclopramide, droperidol, dexamethasone, ondansatron